All of the following can cause pancreatitis except-
1. Hyperlipidemia
2. Abdominal trauma
3. Genetic defect in trypsinogen
4. Islet cell hyperplasia

Correct answer: 4. Islet cell hyperplasia

Explanation: Davidson's principles and practice of medicine 22nd edition. Causes: #gall stones ,alcohol,idiopathic,post ERCP. #rare causes:post surgical,trauma,hypercalcemia,hypertriglyceridaemia,pancreas disum,infection,heriditory,renal failure,organ transplantation.